Metformin is NOT effective in lowering of blood sugar level in which of the following patients?
1. Non diabetics
2. Obese diabetics
3. Type 2 diabetics
4. Diabetics not responding to sulfonylureas

Correct answer: 1. Non diabetics

Explanation: (Ref:KDT 6/e p269) Metformin is the drug of choice for the treatment of obese diabetic patients, as it causes weight loss. It does not cause release of insulin, therefore less chances of hypoglycemia.